Profound MR the IQ is below
1. 50
2. 40
3. 20
4. 10

Correct answer: 3. 20

Explanation: Just learn the IQ ranges